Presence of hemiplegia with diminution of vision in the contralateral eye suggests occlusion of:
1. Middle cerebral artery
2. Basilar artery
3. Anterior cerebral artery
4. Internal carotid artery

Correct answer: 4. Internal carotid artery

Explanation: Ans. D i.e. Internal carotid artery